antipsychotic drug approved for the managemnt of parkinsonian patients
1. clozapine
2. olanzapine
3. haloperidol
4. risperidone

Correct answer: 1. clozapine

Explanation: CLOZAPINE * Importance * First SGA * TREATMENT FOR TREATMENT RESISTANT SCHIZOPHRENIA * TOC for TD * Anti suicidal * Psychosis in parkinsonian patients * Side effects * Agranulocytosis * Myocarditis * Seizure * Constipation * Weight gain * Metabolic syndrome Sialorrhea ref. kaplon and sadock, synopsis of psychiatry, 11 th edition, pg no. 935